A9 year old boy with elevation in both PT and APTT.What is the diagnosis -
1. Defect in extrinsic pathway
2. Defect in intrinsic pathway
3. Platelet function defect
4. Defect in common pathway

Correct answer: 4. Defect in common pathway